Characteristic of bacilus cereus food poisoning is -
1. Presence of fever
2. Presence of Pain in abdomen
3. Absence of vomiting
4. Absence of Diarrhoea

Correct answer: 2. Presence of Pain in abdomen

Explanation: Presence of pain in the abdomen Bacillus cereus is an important cause of food poisoning Bacillus cereus causes two types of food borne illness. i) Short incubation period or emetic form of the disease. ii) Long incubation period or diarrhoeal form of the disease.